Sodium hypochlorite in carisolv is used in concentration of
1. 2% w/v
2. 0.5% w/v
3. 1.5% w/v
4. 5% w/v

Correct answer: 2. 0.5% w/v